Anticancer drug causing nephrotoxicity:
1. Imitanib
2. Irinotecan
3. fosfestrol
4. Cisplatin

Correct answer: 4. Cisplatin

Explanation: Ans. D: Cisplatin Drugs causing nephrotoxicity: Chemotherapy and Immunosuppressants drugs causing nephrotoxicity: - Cisplatin - Methotrexate - Mitomycin - Cyclosporine - Ifosphamide (Causes Fanconi's Syndrome) Antibiotics: - Aminoglycoside - Sulfonamides Amphotericin B - Foscarnet Quinolones (e.g. Ciprofloxacin, Levofloxacin) - Rifampin - Tetracycline - Acyclovir (only nephrotoxic in intravenous form) - Pentamidine - Vancomycin Heavy Metals: Mercury Poisoning - Lead Poisoning - Arsenic Poisoning Bismuth - Lithium related kidney disorders AntiHyperlipidemics: - Statin Drugs (Rhabdomyolysis) Gemfibrozil-Associated with Acute Renal Failure due to Rhabdomyolysis Miscellaneous Drugs: - Chronic Stimulant Laxative use-Resulting in chronic volume depletion and Hypokalemia causes nephropathy - Radiographic contrast - ACE Inhibitor - NSA ID - Aspirin - Mesalamine